The treatment of choice in fistula in ano -
1. Anal dilatation
2. Fissurotomy
3. Fistulectomy
4. Fistulotomy

Correct answer: 4. Fistulotomy